Successful antibiotic penetration of a burn eschar can be achieved with
1. Mafenide Acetate
2. Neomycin
3. Silver nitrate
4. Silver sulfadiazine

Correct answer: 1. Mafenide Acetate

Explanation: Mafenide acetate is the antibiotic agent that penetrates burn eschar to reach the interface with patient's viable tissue This agent has the Disadvantage that it is quite painful on any partial thickness areas and it is carbonic anhydrase inhibitor that interferes with renal buffering mechanism Metabolic acidosis can occur Ref: schwartz's principle of surgery 10th edition Pg no: 232